Winging of scapula is due to paralysis of...... nerve:
1. Long thoracic
2. Axillary
3. Radial
4. Median

Correct answer: 1. Long thoracic

Explanation: A. i.e. Long thoracic nerve Winging of scapula is excessive prominence of medial border of scapula seen in injury to long thoracic nerve (n. of bell)Q due to paralysis of serratus anteriorQ